Ochronosis is seen in poisoning with
1. Boric acid
2. Carbolic acid
3. Oxalic acid
4. HCl

Correct answer: 2. Carbolic acid

Explanation: CARBOLIC ACID (phenol; OH) In the body, phenol is partly oxidised to hydroquinone and pyrocatechol. CHRONIC POISONING (PHENOL MARASMUS) It is characterised by anorexia, weight loss, headache, vertigo, dark urine and pigmentation of skin and sclera. The hydroquinone and pyrocatechol may cause pigmentation in the cornea and various cartilages, a condition called oochronosis. Oochronosis is commonly associated with alkaptonuria (an inborn error of metabolism), in which homegentisic acid gets deposited in cartilages, ligaments and fibrous tissues. Ref:- k s narayan reddy; pg num:-535